Following are the complications of gonococcal cervicitis except?
1. Fitz hug Curtis syndrome
2. Salpingitis
3. Endometritis
4. Vaginitis

Correct answer: 4. Vaginitis

Explanation: Ans. is 'd' i.e., VaginitisComplications of cervicitisInfection of Bartholin's gland UrethritisAcute endometritis Acute salpingitisPelvic peritonitis infertilityPeri hepatitisEctopic pregnancy